A Panel discussion is -
1. Mass approach
2. Individual approach
3. Group approach
4. One way communication

Correct answer: 3. Group approach

Explanation: - panel discussion is a group approach in health communication. - in a panel discussion, 4-8 people who are qualified to talk about a topic sit and discuss a given problem or topic in front of a large group or audience. Reference : Park's textbook of preventive and social medicine, 23rd edition, pg no:865